A 65-year-old man presents with multiple lesions on his penis that he has had for 2 months. Physical examination reveals shiny, soft, erythematous plaques on the glans and foreskin. Biopsy of lesional skin shows neoplastic epithelial cells, connected by intercellular bridges, with invasion into the dermis. Which of the following is the appropriate histologic diagnosis for this patient's penile neoplasm?
1. Adenocarcinoma
2. Lichen planus
3. Melanoma
4. Squamous cell carcinoma

Correct answer: 4. Squamous cell carcinoma

Explanation: Penile carcinoma occurs as a preinvasive form (carcinoma in situ or erythroplasia of Queyrat) or invasive squamous cell carcinoma. Erythroplasia of Queyrat manifests as solitary or multiple, shiny, soft, erythematous plaques on the glans and foreskin. The other choices feature neither intracellular bridges nor these characteristic physical signs.Diagnosis: Squamous cell carcinoma of the penis